Deficit in weight for height in a 3 years old child indicates –
1. Acute malnutrition
2. Chronic malnutrition
3. Concomittant acute and chronic
4. Under weight

Correct answer: 1. Acute malnutrition